Which layer of the epidermis is underdeveloped in the VLBW infants in the initial 7 days –
1. Stratum genninativum
2. Stratum granulosum
3. Stratum lucidum
4. Stratum corneum

Correct answer: 4. Stratum corneum

Explanation: First layer to develop is stratum basale and the last one is the stratum corneum.
In preterm infants stratum corneum is underdeveloped and permeable (normal stratum corneum is impermeable) and becomes similar to adult and full-term infant after 2-3 weeks, postnatal maturation.